Which of the following is a calcium sensiting agent?
1. Levosimendan
2. Cinacalcet
3. Alendronate
4. Teriparatide

Correct answer: 1. Levosimendan

Explanation: Ref: Katzung 11th p.210,221Explanation:Levosimendan, a drug that sensitizes the troponin system to calcium, also appears to inhibit phosphodiesterase and to cause some vasodilation in addition to its inotropic effects.Levosimendan also inhibits phosphodiesterase, and is used in acute heart failure.Cinacalcet (calcimimetics) is the first representative of a new-' class of drugs that activates the calcium sensing receptor (CaR).CaR has greatest concentration in the parathyroid gland.Cinacalcet blocks PTH secretion by activating CaR and is approved for the treatment of secondary hyperparathyroidism in chronic kidney disease and for the treatment of parathyroid carcinoma.Teriparatide, the recombinant form of PTH 1- 34, is approved for treatment of osteoporosis. Like fluoride, teriparatide stimulates new bone formation, but unlike fluoride, this new; bone appears structurally normal and is associated with a substantial reduction in the incidence of fractures.Alendronate is a bisphosphonate.